Earliest and often the only presentation of TB kidney is -
1. Increased frequency
2. Pain
3. Hematuria
4. Renal calculi

Correct answer: 1. Increased frequency